Treatment of Acute lymphangitis requires ?
1. Antibiotic and rest
2. Immediate lymphangiography
3. Immediate multiple incisions
4. No special treatment

Correct answer: 1. Antibiotic and rest

Explanation: Ans. is 'a' i.e., Antibiotic and rest